WHO definition of health does not include -
1. Physical health
2. Mental health
3. Environmental health
4. Social health

Correct answer: 3. Environmental health

Explanation: Ans. is 'c' i.e., Environmental health * According to WHO, "Health is a state of complete physical, mental and social well being and not merely an absence of disease or infirmity. " In recent years, this statement has been amplified to include "the ability to lead a socially and economically productive life."